A 5 year old boy presents with lencocoria in the right eye which is diagnosed as diffuse retinoblastoma involving the entire globe. Examination of the left eye revealed a small 2- 3mm tumor in the periphery. What will be the ideal management of this patient:
1. Enucleation of both eyes
2. Enucleation of right eye and observation for left eye
3. Enucleation of right eye and local therapy of the left eye
4. Six cycles of Chemotherapy

Correct answer: 3. Enucleation of right eye and local therapy of the left eye

Explanation: C i.e. Enucleation of right eye and local therapy of the left eye Diffuse retinoblastoma involving the entire globe (i.e. advanced disease not amenable to any eye preserving surgery) is best managed by enucleation due to poor visual prognosis & high risk of recurrence with other modalities. And the smallobliterative focal therapyQ